Not true about Histoplasma capsulatum ?
1. Dimorphic fungus
2. May mimic TB
3. Capsulated
4. Mostly asymptomic

Correct answer: 3. Capsulated

Explanation: Ans. is 'c' i.e., Capsulated Histoplasma capsulatum A dimorphic fungus Non encapsulated - The only medically important capsulated fungus is cryptococcus. Infection is acquired by inhalation of microconidia (small spores) in dust contaminated with bird or bat dropping. It causes intracellular infection of reticuloendothelial system. Clinical manifestations - Majority of patients are asymptomatic